Function of larynx
1. Speech
2. Protection of airway
3. Conduit of air
4. All

Correct answer: 4. All

Explanation: Ref BDC volume3,6th edition pg 252The larynx is the organ for production of voice or phonation.It is also an air passage and acts as a sphincter at the inlet of the lower respiratory passages.The upper respiratory passages include nose and oral cavityNOTES; Our speech is guided and controlled by cerebral cortex.